Which of the following does not cause hemorrhagic conjunctivitis –
1. Adenovirus
2. Coxsackie – 24
3. Enterovirus – 70
4. Papilloma virus

Correct answer: 4. Papilloma virus

Explanation: Hemorrhagic conjunctivitis is caused by picornaviruses (Enterovirus - 70, coxsackievirus A24) and sometimes Adenovirus type 11.